Which of the following causes epidemic typhus
1. R. typhi
2. R. prowazekii
3. R. rickettsii
4. R. tsutsugamushi

Correct answer: 2. R. prowazekii

Explanation: R prawazekii causes epidemic typhus,distribution is worldwide, in recent times main foci have been eastern Europe,Africa,South America and Asia.in india the endemic spot is kashmir,Humans are the only natural vertebrate host,pediculus humanus corporis(human body louse) is the vector,so this disease is also called loseborne typhus Ref:Ananthnarayan and paniker's microbiology 10th edition